Basic laboratory service is not available at PHC for which disease ?
1. TB
2. Malaria
3. Syphilis
4. Leprosy

Correct answer: 4. Leprosy

Explanation: Ans. is 'd' i.e., Leprosy Basic laboratory services at PHC Routine urine, stool and blood tests. Bleeding time, clotting time. Diagnosis of 1/STDs with wet mounting, Grama stain, etc. Sputum testing for tuberculosis (if designated as a microscopy center under RNTCP). Blood smear examination for malarial parasite. Rapid tests for pregnancy. RPR test for Syphilis/YAWS surveillance. Rapid diagnostic tests for typhoid (Typhi Dot) and malaria. Raid test kit for faecal contamination of water. Estimation of chlorine level of water using orthotoludine reagent.